Which syndrome presents with one half of the body being enlarged
1. WAGR syndrome
2. Denys - Drash syndrome
3. Beckwith - wiedeman syndrome
4. All of the above

Correct answer: 3. Beckwith - wiedeman syndrome

Explanation: If presents with hemihypertrophy and enlarged body organs.